Differential expression of same gene depending on parent of origin is referred to as:
1. Genomic imprinting
2. Mosaicism
3. Anticipation
4. Non penetrance

Correct answer: 1. Genomic imprinting

Explanation: Ans. A. Genomic Imprinting(Ref: Robbins 9/e page 172)Studies over the past two decades have provided definite evidence that, at least with respect to some genes, important functional differences exist between the paternal allele and the maternal allele. These differences result from an epigenetic process called imprinting.